MC ocular manifestation of mumps is
1. Dacrodenitis
2. Chorioretinitis
3. Anterior uveitis
4. Memb. conjunctivitis

Correct answer: 1. Dacrodenitis

Explanation: A i.e. Dacroadenitis Mumps Most common manifestation of mumps (in all age groups) is parotitis Q 2nd most common manifestation of mumps in postpubertal males is orchitis Q Aseptic meningitis is common manifestation of mumps in both children & adults. Most common ocular manifestation of mumps is dacryoadenitis Q